Not true about bacterial vaginosis :
1. Clue cells present
2. With KOH gives amine smell
3. pH < 4.5
4. white, milky discharge

Correct answer: 3. pH < 4.5

Explanation: white milky,non viscous discharge adherent to vaginal wall ph >4.5 fishy odour when mixed with 10% KOH Clue cells present SHAW'S TEXTBOOK OF GYNAECOLOGY,Pg no:131,15th edition